H. pylori has been implicated in all, except
1. Gastric ulcer
2. Gastric carcinoma
3. Gastric lymphoma
4. GIST

Correct answer: 4. GIST

Explanation: H pylori infection is almost always present in the setting of active chronic gastritis and is present in most patients with duodenal (80% to 95%) and gastric (60% to 90%)ulcers. Most patients with gastric cancer have current or past H. pylori infection.There is also a strong association between mucosa-associated lymphoid tissue (MALT)lymphoma and H. pylori infection.Sabiston 20e pg: 1223